The following neurotransmitter is synthesized from choline and acetyl-CoA:
1. Acetylcholine
2. Glutamine
3. Aspartate
4. NO

Correct answer: 1. Acetylcholine

Explanation: Acetylcholine is seen in synaptic vesicles in high concentration in the terminals of cholinergic neurons. It is synthesized in the nerve terminal from choline and acetyl-CoA by the enzyme choline acetyltransferase (ChAT). Choline used in the synthesis of acetylcholine is transported from the extracellular space into the nerve terminal a Na+-dependent choline transporter (CHT). Following its synthesis, acetylcholine is transported from the cytoplasm into vesicles by a vesicle-associated transporter (VAT). Ref: Barrett K.E., Barman S.M., Boitano S., Brooks H.L. (2012). Chapter 7. Neurotransmitters & Neuromodulators. In K.E. Barrett, S.M. Barman, S. Boitano, H.L. Brooks (Eds), Ganong's Review of Medical Physiology, 24e.